Streptococci with butterscotch or caramel odour is
1. S.pyogenes
2. S.agalactiae
3. S.pneumoniae
4. S.angionosus

Correct answer: 4. S.angionosus

Explanation: S.angionosus produce small colonies which give off a distinct odour of butterscotch or caramel.